Pink's disease is due to
1. Toxicity of silver
2. Toxicity of Mercury
3. Toxicity of Lead
4. Toxicity of Tetracycline

Correct answer: 2. Toxicity of Mercury